Which muscarinic receptor causes dilatation of vessels-
1. M1
2. M2
3. m3
4. m4

Correct answer: 3. m3

Explanation: Ans. is 'c' i.e., M3 o M3 receptors are found in vessels (endothelium). Activation of these recepters causes vasodilatation by release of EDRF (NO).o M3 receptors are unique muscarinic receptors in that their activation does not cause release of acetylcholine, rather causes relcease of EDRF (NO).